How much Potassium is present in the Ringer Lactate solution -
1. 1 mEq/L
2. 4 mEq/L
3. 2 mEq/L
4. 6 mEq/L

Correct answer: 2. 4 mEq/L

Explanation: Ans. is 'b' i.e., 4 mEq/L SolutionVolumebNa+K+Ca2+Mg2+Cl-hco3 (as la- ctate)Dext rose(g/L)mOsm/LExtracellular fluid--14245310327 280-310Lactated ringer's--13043--10928--2730.9% NaCl--154------154----3080.45% NaCl--77------77----154D5W--------------50252D5/0.45% NaCl--77------77--50406D5LR--13043--10928505253% NaCl--513------513----1,0267.5% NaCl--1,283------1,283----2,5676% hetastarch500154------154---- .31010% dextran-405000/154deg------0/154deg----3006% dextran-705000/154deg------0/154deg----3005% albumin250, 500130-160<2.5----130-160----33025% albumin20,50,100130-160<2.5----130-160----330Plasma protein fraction250, 500145 145 300